Rothera's test used for detection of:
1. Proteins
2. Glucose
3. Fatty acid
4. Ketones

Correct answer: 4. Ketones

Explanation: Ans. D. KetonesTest for Ketone BodiesGerhardts ferric chloride Test--Detect acetoacetateRotheras Nitroprusside test--Detect acetoacetate and acetoneNone of the above tests detect beta hydroxy butyrateName of the testCompound detectedRothera's testKetone bodies, Branched chain ketoacidsHay's testBile saltLiebermann Burchard reactionCholesterolSalkowski's reactionCholesterol